All of the following tumour metastasizes to ovary except :
1. Gastric carcinoma
2. Colonic carcinoma
3. Cervical carcinoma
4. Breast carcinoma

Correct answer: 3. Cervical carcinoma

Explanation: Cervical carcinoma